Commonest mycobacterial infection is patient is tropical contries -
1. M. Leprae
2. M. avium intracellulare
3. M. tuberculosis
4. M. kansasii

Correct answer: 3. M. tuberculosis

Explanation: Ans. is 'c' i.e., M. tuberculosis